IL -I produces -
1. T lymphocyte activation
2. Delayed wound healing
3. Increased pain perception
4. Decreased PMN release from bone marrow

Correct answer: 1. T lymphocyte activation

Explanation: The immunological effects of IL1 include stimulation of T cell for the production of IL2 and other lymphokines Ref: Ananathanarayanan & Panikers textbook of microbiology 9th edition pg: 154